Which virus leads to Aplastic Crisis?
1. Poxvirus
2. Parvo virus B19
3. Hepatitis A
4. Hepatitis B

Correct answer: 2. Parvo virus B19

Explanation: * Hepatitis B, C and D can lead to aplastic anaemia. In contrast Parvo virus B19 leads to a transient bone marrow illness called aplastic crisis.* Parvovirus B19 (B19V) is a single-stranded DNA virus of the family Parvo-viridae and genus Erythrovirus.* It has a unique tropism for human erythroid progenitor cells. The virus requires the P blood antigen receptor (also known as globoside) to enter the cell.